Which of the following classes of lipoproteins transfers cholesterol from membrane turnover?
1. VLDL
2. LDL
3. IDL
4. HDL

Correct answer: 4. HDL

Explanation: As membranes undergo turnover, unesterified cholesterol is released and binds to high-density lipoprotein, HDL. Through the action of lecithin-cholesterol transferase, cholesterol is transferred to IDL and, eventually, to LDL, and excreted in the bile by the liver. Higher HDL levels are associated with lower risk of myocardial infarction. Correspondingly, LDL/HDL ratio is considered a critical predictor of the developing atherosclerosis. Ref: Botham K.M., Mayes P.A. (2011). Chapter 25. Lipid Transport & Storage. In D.A. Bender, K.M. Botham, P.A. Weil, P.J. Kennelly, R.K. Murray, V.W. Rodwell (Eds), Harper's Illustrated Biochemistry, 29e.